Substance used to measure renal perfusion:
1. lnulin
2. PAH
3. Creatinine
4. Mannitol

Correct answer: 2. PAH

Explanation: Ans. B: PAHPara-Aminohippurate (PAH) is a substance used in the measurement of renal blood flow.It is useful in this measurement because it is primarily secreted by the renal tubules; only 20% is filtered by the glomerulus. The renal extraction ratio of PAH is a normal individual is approximately 0.92.